Most common type of intususucption is?
1. Ileo-ileal
2. Ileo colic
3. Ileo-ileo-colic
4. Colo-colic

Correct answer: 2. Ileo colic

Explanation: ANSWER: (B) Ileo colicREF: Bailey and love 24th ed p. 1195Most common type of intussuseption is ileocolic